All the following drugs are effective in t/t of ptyriasis versicolor except –
1. Selenium sulphide
2. Ketoconazole
3. Grieseofulvin
4. Clotrimazole

Correct answer: 3. Grieseofulvin

Explanation: Griseofulvin is effective only against dermatophytes. It is ineffective against T. versicolor and candida.